All of the following drugs are administered orally except-
1. Ciprofloxacin
2. Cotrimoxazole
3. Gentamicin
4. Amoxicillin

Correct answer: 3. Gentamicin

Explanation: Ans. is 'c' i.e., Gentamicin o Aminoglycosides are not used orally.